Treatment for idiopathic bone cavity is :
1. Opening and induce bleeding by scraping
2. Marsupialization
3. Enucleation
4. No treatment is required

Correct answer: 1. Opening and induce bleeding by scraping